Starry sky appearance is seen in-
1. Burkitts lymphoma
2. CIL
3. Diffuse large B cell lymphoma
4. ALCL

Correct answer: 1. Burkitts lymphoma

Explanation: Histologically, the tumour cells have very high mitotic rate and therefore high cell death. This feature accounts for the numerous macrophages in the background of this tumour containing tumour debris giving it a starry sky appearance Ref : Harsh Mohan textbook of pathology, 7th edition.Pg no.357